What is the Meaning of Triage
1. Sorting out of cases on availability of medical resources and severity of pt condition
2. Pt. are divided in three groups
3. Severely injured pt. are taken first
4. Used in military hospital

Correct answer: 1. Sorting out of cases on availability of medical resources and severity of pt condition

Explanation: Ans. is 'a' ie Sorting out of cases on availability of... (Ref. Tabers Cyclopedic Medical Dictionary)Triage is " The screening and classification of sick, wounded, or injured persons during war or other disasters to determine priority needs for efficient use of medical and nursing manpower, equipment and facilities. It is also done in emergency rooms and in acute care clinics to determine priority of treatment. Use of triage is essential if the maximum number of lives are to be saved during an emergency situation that produces many more sick and wounded than the available medical care facilities and personnel can possibly handle."